Which of the following does not refer to cannabis preparation
1. Charas
2. Afeem
3. Reefer
4. Sinsemella

Correct answer: 2. Afeem

Explanation: PREPARATIONS OF CANNABIS Bhang: Decoction from dried leaveQ qand fruit shoots; 15% of active principle Majoon Sweet prepared from bhang Ganja Leaves and flower tops of female plantQ; 25% of active principleQ Charas or Hashish ResinQ exuding from leaves and stems; 25-40% of active principleQ Most potentQ Marijuana Dried flowering tops crushed and smoked in a pipe Sinsemilla Seedless marijuana